All of the following are included in methods based on behavioural sciences, except:
1. Personal management
2. System analysis
3. Management by objectives
4. Communication

Correct answer: 2. System analysis

Explanation: System analysis